All are features of mania, except:
1. Flight of ideas
2. Psychomotor agitation
3. Low self-esteem
4. Pressure to talk

Correct answer: 3. Low self-esteem

Explanation: Ans. Low self-esteem